In triage green color indicates
1. Ambulatory patients
2. Dead or moribund
3. High priority treatment or transfer
4. Medium priority or transfer

Correct answer: 1. Ambulatory patients